Which of the following is advocated in dicumarol overdose?
1. Warfarin
2. Heparin
3. LMWH
4. Vitamin K

Correct answer: 4. Vitamin K

Explanation: Dicumarol is an oral anticoagulant. It acts by inhibiting the activation of vitamin K dependent clotting factors(2,7,9,10) Antidote for such a drugs is vitamin K